Laboratory, test for lead poisoning?
1. Lead in urine
2. ALA in urine
3. Coproporphyrin in urine
4. All of the above

Correct answer: 4. All of the above

Explanation: Ans. is 'd' i.e., All of the above Lead Poisoning ? Most common mode of absorption of lead is inhalation of fumes and dust of lead or its comppunds. Other less common mode of absorption are ingestion and absorption through skin (especially tetraethyl lead). A blood level 70 g/100 ml or more is generally associated with clinical symptoms. Lead exerts its toxic action by combining with essential SH - groups of certain enzymes. Lab tests for lead poisoning Coproporphyrin in urine (CPU) -4 In non exposed persons, it is less than 150 g/L. Amino levulinic acid (ALA) in urine If it exceeds 5 mg/litre it indicates clearly lead absorption. Lead in blood and urine : Lead in blood and urine are quantitative indicators of exposure. Lead in urine of over 0.8 mg/litre indicates lead exposure. Blood level of 70 micro g/100m1 is associated with clinical symptoms Basophilic stipling of RBC Is a sensitive parameter of the hematological response.